Avascular necrosis can be a possible sequelae of fracture of all of the following bones,except-
1. Femur neck
2. Scaphoid
3. Talus
4. Calcanuem

Correct answer: 4. Calcanuem

Explanation: *Some of the common sites where Avascular necrosis occurs are : 1) Head of the femur 2) Proximal pole of scaphoid and 3) Body of the talus Ref: Maheshwari 6th/e p.50